True statement about esophageal varices is:
1. 90 % of cirrhotic patients have varices at the time of diagnosis
2. Bleeding cirrhotic varices mortality is 90%
3. Variceal hemorrhage is the most common fatal complication of cirrhosis
4. Varices is not possible in the absence of cirrhosis

Correct answer: 3. Variceal hemorrhage is the most common fatal complication of cirrhosis

Explanation: Epidemiology of esophageal varices and correlation with liver disease At the time of diagnosis, 30% of cirrhotic patients have esophageal varices, and 90% after approximately 10 years. Bleeding from esophageal varices is associated with a mortality rate of 20% at 6 weeks, Variceal bleeding is the most common fatal complication of cirrhosis. Some patients develop varices and hemorrhage early in the course of the disease, even in the absence of cirrhosis. Ref: WGO Practice Guidelines Esophageal varices